Ultimate tensile strength refers to:
1. Stress before rupture
2. Stress after rupture
3. Longitudinal compressive strength
4. Horizontal compressive strength

Correct answer: 1. Stress before rupture

Explanation: Tensile strength (ultimate tensile strength)—Tensile stress at the instant of fracture.
The ultimate tensile strength is defined as the tensile stress within a structure at the point of rupture.
Phillips dental materials 12th edition page no 49,57